Case fatality rate is a method of measuring ?
1. Infectivity
2. Pathogenecity
3. Virulence
4. Average duration of disease

Correct answer: 3. Virulence

Explanation: Ans. is 'c' i.e., Virulence CFR is closely related to virulence of agent.